In a population of 5000, incidence of disease is 100 in 1 year. Duration of disease studied for is 2 years. Calculate prevalence
1. 20\/1000
2. 40\/1000
3. 80\/1000
4. 400\/1000

Correct answer: 2. 40\/1000

Explanation: Ref: Parks 23rd edition pg 61. Prevalence = Incidence x Duration = (100/5000) x 2 = (20/1000) x 2 = 40/1000